Rodent ulcer is ?
1. Infectious ulcer
2. Hypersensitivity
3. Basal cell carcinoma
4. Squamaous cell carcinoma

Correct answer: 3. Basal cell carcinoma

Explanation: Ans. is 'c' i.e., Basal cell carcinoma Advanced basal cell carcinoma may ulcerate and extensive local invasion of bone or facial sinus may occur after many years of neglected or in unusually aggressive tumors, explaining the archaic designation rodent ulcer.